Barriers to communication are all Except
1. Cultural
2. Environmental
3. Psychological
4. Mobile devices

Correct answer: 4. Mobile devices

Explanation: Barriers to communication can be : Physiological, Psychological, Environmental, and cultural.Park 23e pg: 856